High resolution CT of the lung is a specialized CT technique for greater detail of lung parenchyma and it utilizes
1. Special lung filters
2. Thick collimation
3. Bone algorithm for image reconstruction
4. Large field of view

Correct answer: 3. Bone algorithm for image reconstruction

Explanation: Ans. is 'c' i.e., Bone algorithm for image reconstruction HRCT gives detailed images of the lung parenchyma (which is comparable to gross tissue inspection) and thus allows detection of diseases at an earlier stage than conventional CT scans.HRCT utilizes thin collimation (i.e., thin slices of 1 or 2 mm.) as compared to thick slices of conventional CT scan (of 5 to 7 mm.)The field of view is reduced to increase the resolution of the image.HRCT utilizes High spatial frequency algorithms, such as bone algorithms, rather than traditional soft-tissue algorithms (as used in conventional CT scan) for image reconstruction. It smoothens the image data and gives more sharp images and finer lung details.